A patient is more talkative than usual. He used to speak loudly. While talking, he rapidly shifts from topic to topic. He also keeps himself busy in chatting or messaging friends. Likely diagnosis of such a case:
1. Mania
2. Attention Deficit Hyperactivity Disorder
3. Depression
4. Obsessive Compulsive Disorder

Correct answer: 1. Mania

Explanation: Ans. A i.e. Mania